Commonest site of metastasis of Wilm’s tumour is
1. Bones
2. Lungs
3. Liver
4. Brain

Correct answer: 2. Lungs

Explanation: Lungs is MC site for mets in wilms tumor.